The Glomus jugulare tumour compression of carotid is diagnosed by:
1. MR angiography
2. CECT
3. X-ray
4. Jugular venography

Correct answer: 1. MR angiography

Explanation: (a) MR angiography(Ref. Cummings, 6th ed., 2756)Magnetic resonance angiography is used to evaluate for compression of internal carotid artery.CECT is diagnostic of Glomus jugulare.X-ray has no role in the assessment of Glomus jugulare.MR venography is useful to assess collateral circulation within the dural sinuses of the skull as the tumour blocks the blood flow in the internal jugular vein and in turn leads to blockade of the sigmoid sinus.Jugular venography is no longer used because intravenous tumour extension can be seen with MR venography.